The principle 'respondent superior' is applied by
1. Vicarious liability
2. Products liability
3. Medical maloccurence
4. Therapeutic misadventure

Correct answer: 1. Vicarious liability

Explanation: Vicarious liability Responsibility lies on the superior for the negligent action of his subordinate who is supposed to work under the guidance of the superior. The principle applied is called 'respondent superior' which means 'let the master answer' .To apply this principle, There must be an employer employee relationship to be established. The employee's conduct should occur within the scope of his employment. The negligence occurs during while on job. Ref: FORENSIC MEDICINE AND TOXICOLOGY Dr PC IGNATIUS THIRD EDITION PAGE 381